Which of the following is the most commonly used site for Deep Brain Stimulation to reduce frequency of Parkinsonism symptoms
1. Striatus
2. Globus Pallidus
3. Subthalamic Nucleus
4. Putamen

Correct answer: 3. Subthalamic Nucleus

Explanation: High-frequency stimulation of the subthalamic nucleus is a neurosurgical procedure for the alleviation of motor symptoms of Parkinson's disease and debilitating medication-induced dyskinesias Ref Harrison20th edition pg 2456